Stellate reticulum is seen in
1. Dental lamina
2. Enamel organ
3. Hertwig's root sheath
4. All of the above

Correct answer: 2. Enamel organ